In all of the following conditions myopathy is seen, EXCEPT:
1. X-linked hypophosphatemic ricket
2. Oncogenic osteomalacia
3. Nutritional osteomalacia
4. Cushing syndrome

Correct answer: 1. X-linked hypophosphatemic ricket

Explanation: X-linked hypophosphatemia (XLH), formerly called vitamin D-resistant rickets, is characterized by renal phosphate wasting, hypophosphatemia, and decreased 1,25 (OH) 2D production relative to the degree of hypophosphatemia. In contrast to the hypocalcemic varieties of rickets, this condition is not associated with dental enamel hypoplasia or proximal myopathy. Ref: Differential diagnosis in internal medicine: from symptom to diagnosis edited by Walter Siegenthaler, 2007, Page 373.